The light brown perinuclear pigment seen on H & E staining of the cardiac muscle fibres in the grossly normal appearing heart of an 83 year old man at autopsy is due to deposition os:
1. Hemosiderin
2. Lipochrome
3. Cholesterol metabolite
4. Anthracotic pigment

Correct answer: 2. Lipochrome

Explanation: Ans. is 'b' i.e. Lipochrome The characteristic mentioned in the question are of lipochrome or lipofuscinCharacteristics of Lipochrome or lipofuscinIt is an insoluble pigment also called 'wear and tear' or 'aging pigment'In tissue sections, it appears as light yellow brown, finely granular, intracytoplasmic often perinuclear pigment.It is seen in cells undergoing slow regressive changes and is particularly prominent in the liver and heart of aging patients or in patients with severe malnutrition and cancer cachexia.Lipochrome is not injurious to the cell, its importance lies in its being the tell-tale sign of free radical injury.It is composed of polymers of lipids and phospholipids Complexed with protein. It is derived through lipid peroxidation of polyunsaturated lipids of subcellular membranes.Hemosiderin: It is a pigment deposited in conditions of excess iron.Anthracotic pigment: It is pigment seen in the lungs of coal worker pneumoconioses.